Which of the following is a cytoprotective agent against radiation induced stomatitis?
1. Amifostine
2. Metronidazole
3. Misinidazole
4. Acarbose

Correct answer: 1. Amifostine

Explanation: Ans. is 'a' i.e., Amifostine Amifostine* It is an organic thiophosphate* On activation by alkaline phosphatase it acts as a cytoprotective agent against cancer chemotherapy and radiotherapy.* Mainly used for prophylaxis of cisplatin induced neuro/nephrotoxicity and radiotherapy related stomatitis.